Normal role of Micro RNA is:
1. Gene Regulation
2. RNA splicing
3. Initiation of Translation
4. DNA conformational change

Correct answer: 1. Gene Regulation

Explanation: A i.e. Gene RegulationMicro-RNA (mi-RNA) is transcribed by RNA polymerase HQ as primary mi-RNA (pri-mi-RNA). It is processed by 2 endoribonucleases of RNase III family:Drosha (with DGCR8, in nucleus to precursor mi-RNA or pre-mi-RNA) andDicer (with TRBP in cytoplasm to nearly mature mi-RNA or small interfering RNAs = si -RNAs or small temporal RNAs = st RNAs paired with a short RNA complement)RNA helicase removes the complement and mature mi- RNA is incorporated into protein complexes to form RNA induce silencing complex (RISC).By this process of gene silencing by RNA interference (Nobel prize 2006 given to Andrew Fire & Craig mello) mi- RNA, st? RNA and si - RNA play a important role in gene regulation by inhibition of gene expression (& so translational process)Q